Which of the following muscle is not supplied b the anterior branch of mandibular nerve
1. Temporalis
2. Medial pterygoid
3. Masseter
4. Lateral pterygoid

Correct answer: 2. Medial pterygoid

Explanation: The other 3 are supplied by the anterior branch while the medial pterygoid is applied by the main trunk.